Following virus is of poxvirus -
1. Variola
2. Coxsackie
3. ECHO
4. HSV

Correct answer: 1. Variola